Known case of gall stones presents with chief complaints of severe abdominal pain and elevated levels of serum lipase with periumbilical ecchymosis. The following values help to predict the severity except
1. Age
2. Serum LDH
3. Base deficit
4. Serum GGT

Correct answer: 4. Serum GGT

Explanation: Ans. (d) Serum GGTRef: Sabiston Page 1527/ 20th editionThe question is about Ranson Score:The factors in Ranson's Score - "LAGAW- BUCHOW"On admissionWithin 48 hrs* L- LDH >700u/l* A- AST >250 sigma frankel units %* G-Glucose >10mmol/l* A- Age >55yrs* W- WBC Count >16000/mm3* B-Base deficit >4mmol/l* U-Blood Urea N2 >5mg%.* C-Calcium 2.0mmol/l* H- Haematocrit fall >10%* O-Arterial O2 saturation PaO2 <60mmHg* W-Water sequestration >6l